Hyperkalemia is associated with:
1. ACE inhibitors
2. Chlorthalidone
3. Amphotericin-B
4. Amiodarone

Correct answer: 1. ACE inhibitors